A 32-year-old male is a known hypertensive and is being planned for cholecystectomy. Which of the following anaesthetic agents is contraindicated in this person?
1. Propofol
2. Ketamine
3. Midazolam
4. Etomidate

Correct answer: 2. Ketamine

Explanation: Ans. (B) Ketamine(Ref: Katzung 11th/e p437; KDT 8th/e p411)Ketamine increases all pressures (blood pressure, intracranial tension, intraocular pressure) in the body. It is therefore intravenous anesthetic of choice for shock and should be avoided in hypertensive patients (increases blood pressure). Further it is contraindicated in glaucoma (increases IOP) and head injuries (increases ICT).